___________ is defined as an organization of member agents
having social relation amongst themselves
1. Family
2. Society
3. Community
4. Culture

Correct answer: 2. Society